Which of the following statements about pulmonary surfactant is false?
1. It is secreted by Type II pneumocytes
2. It contains lecithin and sphingomyelin
3. It increases surface tension
4. It prevents collapse of smaller alveoli

Correct answer: 3. It increases surface tension